Age of appearance of permanent lateral incisor:
1. 5-6 years
2. 6-7 years
3. 8-9 years
4. 9-10 years

Correct answer: 3. 8-9 years

Explanation: Ans. 8-9 years